Degenerated neurofilaments seen in patients with Alzheimer's disease are:
1. Hirano bodies
2. Lipofuscin granules
3. Neurofibrillary tangles
4. Amyloid plaques

Correct answer: 3. Neurofibrillary tangles

Explanation: Neurofibrillary tanglesThe build-up manifests in two ways:Plaques- deposits of the protein beta-amyloid that accumulate in the spaces between nerve cells Tangles - deposits of the protein tau that accumulate inside of nerve cellsBoth amyloid plaques and neurofibrillary tangles are clearly visible by microscopy in brains of those afflicted by AD.Plaques are dense, mostly insoluble deposits of amyloid - beta peptides and cellular material outside and around neurons.Senile neural plaques correlates (increases) with ageTangles (neurofibrillary tangles) are aggregates of the microtubule-associated protein tau which has become hyperphosphorylated and accumulate inside the cells themselves & are associated with severe dementiaLateral geniculate body is resistant to neurofibrillary tangles.